The only inducible urinary buffer is
1. Bicarbonate
2. Phosphate
3. Ammonia
4. Plasma proteins

Correct answer: 3. Ammonia

Explanation: Ammonia is only inducible buffer

It is an extracellular buffer